Most dreadful complication of Meningococci infection?
1. Water can perineum
2. Fitz Hugh Curtis syndrome
3. Polyarthritis
4. Water House Friderichsen syndrome

Correct answer: 4. Water House Friderichsen syndrome

Explanation: Meningitis Caused by droplet infection Feature of meningitis - fever, headache, vomiting & neck rigidity Mc dreadful complication of meningitis is Water House Friderichsen syndrome causing bilateral adrenal hemorrhagic necrosis Option A) water can perineum, B) Fitz Hugh Curtis syndrome C) Poly arthritis are complication of gonococci